Apert syndrome is a disease of:
1. Blood
2. Bones and joints.
3. Skin
4. Autoimmune disorder.

Correct answer: 2. Bones and joints.